Which of the following is a T-cell marker?
1. CD45
2. CD8
3. IL3
4. CD19

Correct answer: 2. CD8

Explanation: Important cells with their CD marker are:-